Deformities present in colles fracture is/are:
1. Ventral tilt
2. Dorsalt tilt
3. Ventrl displacement
4. All

Correct answer: 2. Dorsalt tilt

Explanation: B i.e. Dorsal tilt